Gas cylinder with single pin index -
1. Oxygen
2. Air
3. Nitrogen
4. Entonox

Correct answer: 4. Entonox

Explanation: Ans. is 'd' i.e., Entonox GasPin indexOxygen2,5Nitrous oxide3,5Cyclopropane3,6Air1,5Nitrogen1,4Entonox (50% O2 + 50% N2O)Single central (7)Carbon dioxide (< 7[?]5%)2,6Carbon dioxide (>7[?]5%)1,6